Ivacaftor was approved by FDA in 2018 for
1. Cystic fibrosis
2. Migraine
3. Hypertension
4. Glycogen storage disorders

Correct answer: 1. Cystic fibrosis

Explanation: Ivacaftor is used for treating cystic fibrosis